In a patient if administration of exogeneus vasopressin does not increase the osmolality of urine the likely cause is
1. SIADH
2. Psychogenic polydipsia
3. Renal Hyposensitivity to ADH
4. ADH Deficiency

Correct answer: 3. Renal Hyposensitivity to ADH

Explanation: Answer is C (Renal Hyposensitivity to ADH): Failure of urine osmolality to rise even after administration of exogenous ADH/vasopressin suggests a diagnosis of Nephrogenic Diabetes Insipidus due resistance to action of vasopressin on the Renal tubule (Renal Hyposensitivity to ADH).